The broad beta disease is due to defect in
1. Apo A
2. Apo B
3. Apo C
4. Apo E

Correct answer: 4. Apo E

Explanation: Name Defect Remarks Familial type III hyperlipoproteinemia (broad beta disease, remnant removal disease, familial dysbetalipoproteinemia Deficiency in remnant clearance by the liver is due to the abnormality in Apo E. Patients lack isoforms E3 and E4 and have only E2, which does not react with the E receptor Increase in chylomicron and VLDL remnants of density <1.019 (b-VLDL). Causes hypercholesterolemia, xanthomas, and atherosclerosis Reference: Harper; 30th edition; Page no: 275